Duret haemorrhage is/are seen in
1. Conjunctiva
2. Middle ear
3. Encardium of heart
4. Brain

Correct answer: 4. Brain

Explanation: Duret Hemorrhage In case of increased ICP downward herniation of brainstem occur, which cause stretching of perforators of basilar artery and may result in bleed (Duret hemorrhage) Duret hemorrhage is a small area of bleeding in ventral and paramedian part of upper brainstem (midbrain and pons). It usually indicates a fatal outcome, however survival has been reported Diagnosis is made on CT or MRI Ref: Robbins 9th edition Pgno :1255